Cell mediated immunity is markedly depressed in
1. Tuberculoid leprosy
2. Lepromatous leprosy
3. Polyneuritic form of leprosy
4. Indeterminate leprosy

Correct answer: 2. Lepromatous leprosy

Explanation: (B) Lepromatous leprosy# In untreated LL patients, lymphocytes regularly fail to recognize either M. leprae or its protein constituents, and lepromin skin tests are negative.> This loss of protective cellular immunity appears to be antigen-specific, as patients are not unusually susceptible to opportunistic infections, cancer, or AIDS and maintain delayed-type hypersensitivity to Candida, Trichophyton, mumps, tetanus toxoid, and even purified protein derivative of tuberculin.> Lepromatous leprosy, has the greatest number of bacilli and is characterized by early, widespread, ill-defined, erythematous or hypopigmented papules and plaques. Later findings include facial infiltration (leonine facies), ocular effects, neurologic involvement, and hypogonadism.